Epiplocele is also called:
1. Omentocele.
2. Omphalocele.
3. Enterocele.
4. Gastrocele.

Correct answer: 1. Omentocele.

Explanation: Ans: a (Omentocele) Ref: S. Das, p. 442Epiplocele is also called omentocele. Herniation of omentum is called omentocele.Clinical featuresFeels doughy and granular. It is dull on percussion and reduces without gurgle.Enterocele - Herniation of intestine (enteron)Cystocele - herniation of urinary bladder.OmphaloceleHerniation of abdominal content into the umbilical cord. (May be small with small amount of intestine or large and may contain even liver)There may be rupture of the umbilical cord and herniation of contents to amniotic cavity.In 2/3rd cases, associated anomalies are present.GastroschisisRepresent the rupture of umbilical cord at the site of resorption of right umbilical vein.Intestinal atresia is the only associated anomaly.